Which one of the following is the most characteristic arrythmia with digitalis toxicity
1. Atrial fibrillation
2. Extrasystole
3. NPAT with block
4. Auricular flutter

Correct answer: 3. NPAT with block

Explanation: The classic features of digoxin toxicity are nausea, vomiting, abdominal pain, headache, dizziness, confusion, delirium, vision disturbance (blurred or yellow vision). It is also associated with cardiac disturbances including irregular heartbeat, ventricular tachycardia, ventricular fibrillation, sinoatrial block and AV block Refer kDT 6/e p498